Pars planitis is -
1. Anterior uveitis
2. Intermediate uveitis
3. Posterior uveitis
4. Pan uveitis

Correct answer: 2. Intermediate uveitis

Explanation: Pars planitis is inflammation of the pars plana and peripheral part of the retina and underlying choroid. Which is nothing but the intermediate uveitis. Ref:A K Khurana 6th edition pg:150